Indications of percutaneous nephrostomya) Stone removalb)  Ureteral obstructionc) Renal tumor resectiond) Ischemic renal failuree) Antegrade renography
1. bcde
2. abce
3. acde
4. abde

Correct answer: 2. abce

Explanation: • For HDN, DJ stenting and percutaneous nephrostomy, both are having same results but DJ stenting is less invasive.
• For pyonephrosis, percutaneous nephrostomy is better than DJ stenting.
• Percutaneous nephrostomy is occasionally essential, if not life saving, in the treatment of acute or chronic upper urinary tract obstruction.
• It is the first step in obtaining antegrade access to the kidney for various procedures.